All of the following statements about denture stomatitis
are true, except
1. It is usually not associated with a sore mouth
2. It is usually associated with wearing a denture at night
3. It is more common in diabetics
4. It is more common in men

Correct answer: 4. It is more common in men